Which zone is not found when repair is done with MTA:
1. Zone if calcification.
2. Zone of inflammation.
3. Zone of necrosis.
4. Zone of irritation.

Correct answer: 3. Zone of necrosis.